Which enzyme is inhibited by fomepizole
1. Alcohol dehydrogenase
2. Acetaldehyde dehydrogenase
3. Catalase
4. Peroxidase

Correct answer: 1. Alcohol dehydrogenase